A 68-year-old man with prostate cancer and bone metastases presents with shaking chills and fever. The peripheral WBC count is 1,000/mL (normal = 4,000 to 11,000/mL). Which of the following terms best describes this hematologic finding?
1. Leukocytosis
2. Leukopenia
3. Neutrophilia
4. Leukemoid reaction

Correct answer: 2. Leukopenia

Explanation: Leukopenia=Absolute decrease in the circulating WBC count. It is occasionally encountered under conditions of chronic inflammation, especially in patients who are malnourished or who suffer from a chronic debilitating disease. Other cause can be typhoid fever and certain viral and Rickettsial infections. -Leukocytosis is defined as an absolute increase in the circulating WBC count. -Neutrophilia is defined as an absolute increase in the circulating neutrophil count. -Pancytopenia refers to decreased circulating levels of all formed elements in the blood.